Not true regarding optic chiasma:
1. Lies over tuberculum
2. Tumor over chiasma can lead to visual field defects
3. Decussation of visual pathway takes place over chiasma
4. Inferonasal fibres are related to posterior portion of chiasma

Correct answer: 4. Inferonasal fibres are related to posterior portion of chiasma

Explanation: Inferonasal fibres are related to anterior portion of chiasma. Optic Chiasma Lies over tuberculum. Tumor over chiasma can lead to visual field defects. Decussation of visual pathway takes place over chiasma for nasal fibres from retina. Inferonasal fibres are related to anterior portion of chiasma whereas superonasal fibres are related to posterior portion of chiasma.